Which of the following is a selective β2 antagonist ?
1. Esmolol
2. Betaxolol
3. Butoxamine
4. Celiprolol

Correct answer: 3. Butoxamine